Hesitation cuts are seen in:
1. Self-inflicted wounds
2. Homicidal wounds
3. Defence wounds
4. Accidental wounds

Correct answer: 1. Self-inflicted wounds

Explanation: Hesitation cuts are : - suicidal or self inflicted wounds - are multiple, superficial ,parallel - are present on accessible parts of body. Defense wounds are characteristic of homicide but are not mandatory.